Anterior ethmoidal artery closely relates to?
1. Recurrent laryngeal nerve
2. Nasociliary nerve
3. Optic nerve
4. Posterior ethmoidal artery

Correct answer: 2. Nasociliary nerve

Explanation: ANSWER: (B) Nasociliary nerveREF: Grays anatomy 39th edition page 697Course of Anterior ethmoidal artery:Once branching from the ophthalmic artery, it accompanies the Nasociliary nerve through the anterior ethmoidal canal to supply the anterior and middle ethmoidal cells, frontal sinus, and anterosuperior aspect of the lateral nasal wall.